Which statement best describes the pelvic viscera?
1. The vas deferens is formed by the union of the ejaculatory ducts and the seminal vesicles.
2. The vas deferens runs through the inguinal canal.
3. The vas deferens passes anterior to the urethra to enter the bladder.
4. The ejaculatory ducts enter the spongy urethra.

Correct answer: 2. The vas deferens runs through the inguinal canal.

Explanation: The ejaculatory duct is formed by the union of the seminal vesicles and the vas deferens. The vas deferens runs through the inguinal canal within the spermatic cord. The vas deferens runs anterior to the ureter to enter the prostate. The vas deferens enter the prostatic urethra at the level of the urethral crest on either side of the prostatic utricle.